Antagonism between acetylcholine and atropine
1. Competitive antagonism
2. Psychological antagonism
3. Non-competitive antagonism
4. None

Correct answer: 1. Competitive antagonism

Explanation: Ref-KDT 6/e p58 Competitive antagonists bind to receptors at the same binding site (active site) as the endogenous ligand or agonist, but without activating the receptor. Agonists and antagonists "compete" for the same binding site on the receptor. Once bound, an antagonist will block agonist binding. Ex-acetycholine and atropine antagonism